The length of distal convoluted tubule is
1. 5 mm
2. 2 mm
3. 12 mm
4. 8 mm

Correct answer: 1. 5 mm

Explanation: Although the DCT is the shortest segment of the nephron, spanning only about 5 mm in length in humans (1), it plays a critical role in a variety of homeostatic processes, including sodium chloride reabsorption, potassium secretion, and calcium and magnesium handling Ref: guyton and hall textbook of medical physiology 12 edition page number:460,461,462